What is cutaneous Tuberculosis secondary to underlying tissue lymph node called
1. Scrofuloderma
2. Lupus vulgaris
3. Spina ventosa
4. None of the above

Correct answer: 1. Scrofuloderma

Explanation: Cutaneous Tuberculosis Scrofuloderma:- It is a result of contiguous spread of infection to skin from underlying disease (usually cervical lymph nodes and bones); fluctuant nodules that develop sinus tracts, draining to skin, with tethered appearance. Ref:- Review of Dermatology by Alikhan; pg num:-302